Myringoplasty is plastic repair of-
1. Middle ear
2. Internal ear
3. Eustachian tube
4. Tympanic membrane

Correct answer: 4. Tympanic membrane